Lack of morphological and functional differentiation is best termed as:
1. Metaplasia
2. Dysplasia
3. Anaplasia
4. None of the above

Correct answer: 3. Anaplasia

Explanation: Anaplasia is defined as Lack of morphological and functional differentiation of cells. Features Metaplasia Dysplasia Anaplasia Definition Reversible change in which one adult cell type (epithelial or mesenchymal) is replaced by another adult cell type Loss of uniformity of the individual cells (mainly epithelial) as well as lack of architectural orientation with respect to one another Lack of morphological and functional differentiation of cells Behaviour Usually not precancerous Few forms of metaplasia may be termed precancerous Not all metaplasia lesions are precancerous Potentially precancerous may or may not progress to cancer Anaplasia is usually a hallmark of malignant transformation Orientation with respect to one another (tissue architecture) No loss of polarity Maintained, Regular Organization Loss of polarity Disturbance in organization and maturation Loss of polarity Disturbance in organization and maturation Cellular Pleomorphism Nuclear Atypia Absent (Usually not seen) Present in low grade Present in high grade Mitotic figures Absent Minimal at normal places Present Usually not atypical Present Atypical mitotic figures . Abnormal and atypical figures may be seen (multipolar spindles) Reversibility Reversible Reversible condition if triggering factors are removed Reversible in early stages May become irreversible if it involves the whole thickness of epithelium Irreversible N:C ratio Normal (1:4) Increased Increased Hyperchromactism Absent Present (small degree) Present (high degree) Tumor giant cells Absent Absent Present Example Columnar to squamous epithelium in respiratory tract of chronic smokers Barrett's esophagus Myositis ossificans Cervical intraepithelial neoplasia (CIN) Carcinoma of the cervix, Carcinoma esophagus Ref: Harrison's 19th edition Pgno: 769